All are true about Plummer vinson syndrome except -
1. Dysphagia
2. Oesophageal web
3. Iron deficiency
4. Kidney disease

Correct answer: 4. Kidney disease

Explanation: Ans. is 'd' i.e., Kidney disease Plummer-Vinson syndrome* Plummer-Vinson syndrome, also known as Brown-Kelly-Paterson syndrome or sederopenic dysphagia, seen in middle aged edentulous women.* The plummer Vinsion Paterson Brown Kelly Syndrome is characterized by: -# Dysphagia# Chronic iron deficiency anemia# Atrophic oral mucosa and glossitis# Brittle, spoon-shaped fingernails (Koilonychia)* The cause of dysphagia is usually a cervical esophageal web, but abnormal pharyngeal and esophageal motility may play a role.* The syndrome characterstically occurs in middle aged edentulous (without teeth) women.* It is a premalignant lesion. Approximately 10% of patient develop squamous cell Ca of esophagus, oral cavity or the hypopharynx.* As iron-deficiency anemia is a common finding, it is also known as sideropenic dysphagia.* Carcinoma develops in post-cricoid region (not in lower third esophagus).